Mitral cells are seen in
1. Olfactory bulb
2. Basal ganglia
3. Hippocampus
4. Hypothalamus

Correct answer: 1. Olfactory bulb

Explanation: Mitral cells are neurons that are part of the olfactory system. They are located in the olfactory bulb in the mammalian central nervous system. They receive information from the axons of olfactory receptor neurons, forming synapses in glomeruli. Axons of the mitral cells transfer information to a number of areas in the brain, including the piriform cortex, entorhinal cortex, and amygdala. Mitral cells receive excitatory input from olfactory sensory neurons and external tufted cells on their primary dendrites, whereas inhibitory input arises either from granule cells onto their lateral dendrites and soma or from periglomerular cells onto their dendritic tuft. Mitral cells together with tufted cells from an obligatory relay for all olfactory information entering from the olfactory nerve.